Other than osteosarcoma, sun-ray appearance is also seen in:
1. Ewing's sarcoma
2. Fibrous dysplasia
3. Chondrosarcoma
4. All of the above

Correct answer: 1. Ewing's sarcoma

Explanation: Osteosarcoma produces sun-ray or sunburst appearance with spicules of new bone radiating outward on the periphery in the sclerosing form of osteosarcoma. Sun-ray appearance is also seen in Ewing's sarcoma.